Patient with altered consciouness, tremors and visual hallucinatins, the probable deagnosis is:
1. Delirium tremens
2. Kosarloff's psychosis
3. MDP
4. Wernicke's encephalopathy

Correct answer: 1. Delirium tremens

Explanation: A. i.e. Delirium tremens